Consumptive coagulopathy is most commonly found in?
1. Abruption placenta
2. IUCD
3. Dead fetus
4. Retained products of conception

Correct answer: 1. Abruption placenta

Explanation: Abruption placenta REF: Williams Obstetrics 22nd edition chapter 35 One of the most common causes of clinically significant consumptive coagulopathy in obstetrics is placental abruption. Placental abruption with concealed hemorrhage carries with it much greater maternal and fetal hazards, not only because of the possibility of consumptive coagulopathy, but also because the extent of the hemorrhage is not appreciated and the diagnosis typically is made later